All are principles of primary health care EXCEPT
1. Intersectoral coordination
2. Community participation
3. Appropriate technology
4. Decentralised approach

Correct answer: 4. Decentralised approach

Explanation: Principles of primary health care: 

Equitable distribution
Community participation
Intersectoral coordination
Appropriate technology